True statement regarding pin index – a) Pin is present on cylinderb) Pin is present on machinec) Not effective if wrong gas is filled in cylinderd) Pin index of air is 2,5
1. bc
2. c
3. ac
4. ad

Correct answer: 1. bc

Explanation: Pin-index system is present on yolk assembly, the part of machine at which cylinder get fitted.
The pin safety system is ineffective if yoke pins are damaged or cylinder is filled with wrong gas or using extra sealing washer.
Pin index of air is 1, 5.